Pontogeniculo-occipital spike is characteristic of which of the following sleep stage?
1. Stage 1 NREM
2. Stage 2 NREM
3. Stage 3 NREM
4. REM

Correct answer: 4. REM

Explanation: Ponto - geniculo - occipital spikes are large phasic potentials, seen in REM sleep. These orginate from cholinergic neurons in pons and pass rapidly to lateral geniculate body and then to occipital cortex.